Which one of the following acts to increase the release of Ca2+ from endoplasmic reticulum
1. Inositol triphosphate
2. | Parathyroid hormone
3. 1,25 - dihydroxy choleciferol
4. Diacyglycerol

Correct answer: 1. Inositol triphosphate

Explanation: Ans. (a) Inositol triphosphate(Ref: Ganong, 25th ed/p. 116)Inositol triphosphate acts on the sarcoplasmic reticulum to release calcium ions